Creamy fishy odor is caused by:
1. Trichomonas
2. Gardnerella
3. Candida
4. Chlamydia

Correct answer: 2. Gardnerella